Gas in the aorta after IUFD, is which sign -
1. Robert
2. Spalding
3. Ball
4. Blair-Hartley

Correct answer: 1. Robert

Explanation: Ans. is 'a' i.e., RobertRadiological signs of 1UFDSignInterval (After Death)Robert sign (gas in great vessels)12 hSpalding sign (overlapping of skull bones)1 weekBlair-Hartley/ Ball sign (hyperflexion/ hyperextension of spine with overcrowding of ribs3-4 weeks